Anti-codon arm is seen in
1. m-RNA
2. r-RNA
3. t-RNA
4. sn- RNA

Correct answer: 3. t-RNA

Explanation: Ans. (c) t-RNA* There are three main types of RNA: tRNA, mRNA, and rRNA.* The most abundant form of RNA is rRNA or ribosomal RNA because it is responsible for coding and producing all the proteins in cells.* tRNA (transfer RNA): RNA which transfers amino acid from cytoplasm to ribosomal protein synthesizing machinery.* Secondary structure: Clover leaf shape* Tertiary structure: L shapedtRNA Arms* Acceptor arm:# It is 3' end of tRNA, and has 3 unpaired nucleotide, CCA# It is the site of amino acid attachment* Anticodon arm:# It has trinucleotide sequence complimentary to the codon of the amino acid, which mRNA carries.# Codon of mRNA and anti-codon of tRNA are antiparallel in their complimentary.* DHU arm/D-arm:# Recognizes the specific amino acyl tRNA synthetase enzyme* Pseudo uridine arm:# Binds the charged tRNA to the ribosome* Variable arm/Extra arm:# Most variable feature of tRNA. It differentiates the different class of tRNA.